Which of the following drug is an antidote for cyanide poisoning?
1. Amyl nitrate
2. Isosorbide dinitrate
3. Nitroglycerine
4. Propranolol

Correct answer: 1. Amyl nitrate

Explanation: Ans. A. Amyl nitrateAmyl nitrite is one of antidote of cyanide poisoning. It is given via inhalational route. Hydroxocobalamin is also given for cyanide poisoning via intravenous route.